Ascospore is
1. Asexual spore
2. Sexual spore
3. Conidia
4. None of the above

Correct answer: 2. Sexual spore

Explanation: Ascospores are sexual spores produced by ascomycetes (Yeasts and filamentous fungi), produced within a sac or ascus. Ref: Baveja textbook of microbiology; 4th edition .